A 34 years old male patient presents with symptoms of headache nausea and vomiting and intermittent focal seizures. On investigation patient is diagnosed to be suffering from neurocysticercosis. Antiparasitic drug used in the management of these patients are given for a duration of
1. 15 - 30 days
2. 60 - 90 days
3. 3 - 4 months
4. 6 months

Correct answer: 1. 15 - 30 days

Explanation: Answer- A. 15 - 30 daysFor the treatment of patients with brain parenchl.mal cysticerci. most authorities or antiparasitic drugs, including albendazole (15 mdkgper dayforS-28 days) orpraziquantel (50-100 mdkgdailyinthree divideddoses for 15-30 days).